All are true about erythema multiformis except:
1. Due to herpes simplex
2. Due to sulphonamide
3. Lesion are symmetrical
4. Mucous membrane is involved in all

Correct answer: 4. Mucous membrane is involved in all

Explanation: D. i.e. Mucous membrane is usually involved